Yuzpe method is used for which of these contraceptive techniques?
1. Sterilization with 'No scalpel technique'
2. Emergency contraception with OCPs
3. Emergency contraception with IUDs
4. Evaluation of newer contraceptives

Correct answer: 2. Emergency contraception with OCPs

Explanation: Yuzpee Regime It is used for emergency contraception, to be taken within 72 hours of unprotected intercourse 2 Combined OC Pills given as soon as possible and same dose is repeated after 12 hrs Combined OCP Inhibit ovulation Reduces chances of Implantation by altering endometrium